Weil felix reaction with OXK antigen indicates infection with -
1. R. tsutsugamushi
2. R. Mooseri
3. R. Quintana
4. R. Akari

Correct answer: 1. R. tsutsugamushi

Explanation: Ans. is 'a' i.e., R. tsutsugamushi